Which of the following passes between base of the skull & superior constrictor muscle -
1. Eustachian tube, levator palatine muscle, ascending palatine artery
2. Maxillary nerve & levator palatine muscle
3. Eustachian tube & stylopharyngeous muscle
4. Ascending palatine artery & Glassopharyngeal nerve

Correct answer: 1. Eustachian tube, levator palatine muscle, ascending palatine artery